Dennie-Morgan fold is seen in:
1. Atopic dermatitis
2. Seborrheic dermatitis
3. Contact dermatitis
4. Dermatomyositis

Correct answer: 1. Atopic dermatitis

Explanation: Ans: A (Atopic dermatitis) Ref: Thappct DM. editor. Essentials in Dermatology, 2nd edn. New Delhi: JaypeeExplanation:ATOPIC DERMATITISChronic or relapsing dermatitis characterized by severe pruritus with age at onset between 2-6 months and associated with personal or family history of atopy (asthma, allergic rhino- conjunctivitis, atopic dermatitis)Itch that rashesInfants - face, scalp, extensor of extremities, trunkChildren - flexural surface like neck, cubital or popliteal fossa, wrists, anklesAdolescents and adults - lichenification of flexures and handsHanifin and Rajka Criteria for Eczema DiagnosisMajor Findings (3 or more criteria)PruritusTypical morphology and distribution (Flexural lichenification or linearity in adults; facial and extensor involvement - infants and children)Chronic relapsing dermatitisPersonal or family history of eczemaMinor Findings (3 or more criteria)XerosisIchthyosisPalmar hyperlinearityKeratosis pilarisType 1 skin test reactivityElevated IgE levelsNipple eczemaCheilitisRecurrent conjunctivitisDennie Morgan infraorbital foldKeratoconusAnterior suhcapsular cataractsOrbital darkeningPityriasis albaFacial pallorAnterior neck foldsWhite dermographism